Goodpasture's disease is characterized by all except:
1. Glomerulonephritis
2. Leukocytoclastic vasculitis
3. Diffuse alveolar hemorrhage
4. Presence of antibodies to BM

Correct answer: 2. Leukocytoclastic vasculitis

Explanation: Ans. i.e., b Leukocytoclastic vasculitis Goodpasture Syndrome -It is diffuse pulmonary hemorrhage syndrome Q characterized by presence of circulating autoantibodies targeted against the basement membrane of the kidney and lung. The antibodies initiate an inflammatory destruction of the basement membrane in kidney glomeruli and lung alveoliDiagnosis :Serology :Diagnostic serological marker is circulating anti GBM antibodies Q with a specificity for the non collagenous domain of the a3 chain of type IV collagen Q.Anti GBM antibodies seen in greater than 90% of the patients.Renal biopsy is the Gold standard typical pattern isDiffuse proliferative glomerulonephritis.Focal necrotizing lesion and crescents in > 50% of glomeruli.Immunofluorescence reveals linear deposition.X-rayDiffuse b/l pulmonary infiltrates Q ANCAANCA is typically negative Q (ANCA can occur in 30% cases of Goodpasture syndrome)Treatment:Plasmapheresis1 is performed daily or on alternate days. (This removes existing antibodies).Corticosteroid Q is started simultaneously in combination with either azathioprine to stop the production of new antibodies.